Major protein of bone is ?
1. Osteocalcin
2. Osteopontin
3. Collagen type- 1
4. Collagen type- 4

Correct answer: 3. Collagen type- 1

Explanation: Ans. is 'c' i.e., Collagen type-1 Bone is a specialized connective tissue. Bone components are :? 1) Inorganic elements (65%) 2) Organic matrix (35%) 1)Inorganic elements It is the mineral phase, principally composed of calcium and phosphate, mostly in the form of hydroxyapatite . 2)Organic maxtix Organic matrix consists of cells of bones and protein of matrix. This unminerilized matrix is called osteoid, i.e. unminerilized bone is known as oteoid. Osteoid with mineral (i.e. mineralized osteoid) is complete bone. A) Protein of matrix It is mainly formed by type I collagen and a family of noncollagenous proteins like osteocalcin and osteonectin that are derived mainly from osteoblasts. B) Cells of matrix The cells of bone are :- i) Osteoblasts ii) Osteoclasts iii) Osteocytes